Which of the following immune hypersensitivity reaction is resonsible for Myasthenia Gravis ?
1. Type I Hypersensitivity
2. Type II Hypersensitivity
3. Type III Hypersensitivity
4. Type IV Hypersensitivity

Correct answer: 2. Type II Hypersensitivity

Explanation: Ans. is `b' i.e., Type II Hypersensitivity o Myasthenia Gravis is an example of Type II Hypersensitivity reaction.